The best period of gestation to carry out chorion villous biopsy for prenatal diagnosis is?
1. 8-10 weeks
2. 10-12 weeks
3. 12-14 weeks
4. 14-16 weeks

Correct answer: 2. 10-12 weeks

Explanation: Chorionic villus sampling (CVS) is carried out transcervical between 10-12 weeks and trans-abdominal from 10 weeks to term. Ref:Textbook of Gynecology By D C Dutta, 5th Edition, Page 315